Female pelvis can be differentiated from male pelvis by?
1. Circular brim
2. Less movable coccyx
3. Smaller outlet
4. Inverted ischial tuberocity

Correct answer: 1. Circular brim

Explanation: Ans. is 'a' i.e., Circular brim o Pelvic brim in males is heart-shaped. In females, it is circular or elliptical and more spacious.Female and male pelvis have been explained in previous session.